Olfactory receptor cells belong to which group of cells?
1. Bipolar neurons
2. Fibroblasts
3. Modified epithelial cells
4. Multipolar neurons

Correct answer: 1. Bipolar neurons

Explanation: The receptor cells for the smell sensation are bipolar nerve cells derived originally from the central nervous system itself. Olfactory system has the smallest range of intensity discrimination.